4 day old newborn baby having icterus involving sole, bilirubin level (mg/dl) -
1. 12
2. 15
3. 8
4. 6

Correct answer: 2. 15

Explanation: Ans. is 'b' i.e., 15 mg/dl Dermal staining of biiirubin-o Described by kramero Jaundice progress in cephalocaudal directiono Divided in 5 zoneZone Bilirubin1) 4-6 mg/dl-Face2) 6-8 mg/dl-Trun k & upper abdomen3) 8-12 mg/dl-Lower abdomen & thign4) 12-14 mg/dl-Arm & leg5) > 15 mg/dl-Palm & sole